Botulinum affects all except:
1. Neuromuscular junction
2. Preganglionic junction
3. Post ganglionic nerves
4. CNS

Correct answer: 4. CNS

Explanation: Ans. is 'd' i.e., CNS(Ref: Harrison, 18th/e, p. 1200 and 17th/e, p. 901)* The central nervous system is not involved because the toxin does not cross the blood brain barrier.